Reticulocytes are stained with
1. Methyl violet
2. Brilliant Cresyl blue
3. Sudan black
4. Indigo carmine

Correct answer: 2. Brilliant Cresyl blue

Explanation: Reticulocytes are stained in living state in vitro so staining with dyes like brilliant cresyl blue and new methylene blue is referred to as supravital staining.